Hyperpigmented lesions are
1. Pityriasisalba
2. Melanoma
3. Naevus anaemicus
4. All

Correct answer: 2. Melanoma

Explanation: B i.e. Melanoma Hyperpigmentation (hyper melanosis) of skin is seen in endocrine disorders like Addison's diseaseQ, acromegaly, Nelson's syndrome, Cushing's (ectopic ACTH) syndromeQ, carcinoid syndrome, pheochromocytoma, and hyperthyroidism (Grave's disease) but not in hypothyroidism or myxedeme. Melanoma, dyskeratosis congenita & lentigines lichen planusQ cause hyperpigmentation.